True about chancroid is
1. Incubation period is 3 to 10 weeks.
2. Characterised typically by prodromal symptoms and systemic reaction.
3. Painful ulcer with irregular erythematous non-indurated margins.
4. Ulcer base is hard, indurated.

Correct answer: 3. Painful ulcer with irregular erythematous non-indurated margins.

Explanation: Chancroid:

Incubation period = 3 to 10 days
It lacks systemic reaction and prodrome.
Ulcer base is soft.